Radiation caries is caused by irradiation of:
1. Salivary glands
2. Enamel
3. Enamel and dentin
4. Oral mucosa

Correct answer: 1. Salivary glands